Arthus reaction is an example of
1. Type 1 HSN
2. Type 2 HSN
3. Type 3 HSN
4. Type 4 HSN

Correct answer: 3. Type 3 HSN

Explanation: Examples of Type - 3 HSN

Arthus reaction
Serum sickness
Glomerulonephritis
Rheumatoid arthritis.